Rough and Irregular surface produced on the impression is because of?
1. Improper application of pressure during impression making
2. Air incorporated during mixing
3. Too rapid polymerization
4. Presence of moisture in impression area

Correct answer: 3. Too rapid polymerization